A lady presented with a 4 cm tumor in the left parietal lobe for which she underwent surgery and radiotherapy. After 3 months she presented with headache and vomiting. Which of the following would characterise the lesion in the patient?
1. Gd-enhanced MRI
2. 99Tc-HMPAO SPECT brain
3. c) Digital substraction angiography with dual source of ST scan
4. d) 18FDG PET Scan

Correct answer: 4. d) 18FDG PET Scan